Normal glomerular filtration rate is -
1. 50 ml/min
2. 125 ml/min
3. 250 ml/min
4. 500 ml/min

Correct answer: 2. 125 ml/min

Explanation: In man, resting glomerular filtration rate is about 125 ml/min (lSOL/day), the renal plasma flow is about 600 ml/min.


Thus about one-fish (20%) of plasma passing through kidney is filtered„ i.e., a fraction of renal plasma flow that is filtered (filtration fraction)